Which part of thalamus is related to motor control?
1. Ventrolateral thalamus
2. Ventral posteromedial
3. Ventral posterolateral
4. Superior and inferior colliculi

Correct answer: 1. Ventrolateral thalamus

Explanation: - Thalamus is sensory relay station for all sensations except olfaction - It is related to motor control also by Ventrolateral thalamus Ventroanterior thalamus Centro median thalamus Superior colliculi => involved in visual pathway Inferior colliculi => involved in auditory pathway Ventral basal complex=> Dorsal column medical lemniscal pathway relay in ventro-basal complex Putamen circuit through the basal ganglia for subconscious execution of learned patterns of movement.